Which one of the following binds to specific nucleotide sequences that are upstream of the start site of transcription?
1. Helicase
2. Histone protein
3. Primase
4. RNA polymerase

Correct answer: 4. RNA polymerase

Explanation: RNA polymerase In mammals, RNA polymerase binds to promoter sites upstream from the start site. These include the TATA box (TATAAT), the CAAT box, and the GC box. DNA primase and helicase are involved in DNA replication and do not bind specifically to sequences upstream of genes. Restriction endonucleases recognize specific sequences in double- helical DNA and cleave both strands. Histones nonspecifically bind to chromosomal DNA and constitute about half the mass of mammalian chromosomes.